Function of Basement membrane is
1. Excitation
2. Contraction
3. Filteration
4. Transport of anions

Correct answer: 3. Filteration

Explanation: (Filtration) (10- Ganong 22nd) (103- Robbins 7th) (34- Ganong 23rd)Basement membrane - (Basal lamina) are produced by epithelial and mesenchymal cells and are closely associated with the cell surface. They consist of a network of amorphous nonfibrillar collagen (Mostly type IV) laminin heparan sulfate, proteoglycan, fibronectins, tenascinRole of extracellular Matrix (Interstitial matrix, Basement membrane)1. Mechanical support of cell anchorage and cell migration and maintenance of cell polarity2. Control of cell growth - cell proliferation3. Maintenance of cell differentiation4. Scaffolding for tissue renewal5. Establishment of tissue microenvironments6. Storage and presentation of regulatory molecules eg. growth factor like FGF and HGF* The major function of Glomerulus basement membrane is filtration